Salivary gland tumor exclusively seen in parotid gland
1. Warthin's tumor
2. Pleomorphic adenoma
3. Mucoepidermoid Ca
4. Adenoid cystic Ca

Correct answer: 1. Warthin's tumor

Explanation: Answer-A. Warthin's tumor"Warthin's tumor arises only in the parotid gland" - Textbook of surgery"Warthin's tumor arises almost exclusively in the parotid gland (the only tumor virtually restricted to the parotid)"Salivary gland tumor seen only it parotid gland- Warthins'tumor.